Differential Cyanosis occurs in which of the following disease:
1. Severe coarctation
2. PPHN
3. Interrupted aortic arch
4. All of the above

Correct answer: 4. All of the above

Explanation: Ans. D. All of the aboveDifferential cyanosis can be caused by* Persistent pulmonary hypertension of Newborn* Coarctation of Aorta* Interrupted aortic arch